Abdominal compartment syndrome is characterized by the following except
1. A.Hypercarbia and respiratory acidosis
2. B.Hypoxia due to increased peak inspiratory pressure
3. C.Hypotension due to decrease in venous return
4. D.Oliguria due to uretic obstruction

Correct answer: 4. D.Oliguria due to uretic obstruction

Explanation: ABDOMINAL COMPARTMENT SYNDROME Abdominal compartment syndrome (ACS) comprises increasing organ dysfunction or failure as a result of IAH. IAH is present when there is consistent increased IAP greater than 12 mm Hg, determined by a minimum of three measurements conducted 4 to 6 hours apart, measured at the end of expiration in a relaxed patient. ACS may be primary or secondary and develops when IAP is 20 mm Hg or greater, with or without abdominal perfusion pressure less than 50 mm Hg (at least three measurements performed 1 to 3 hours apart); it is associated with failure of oneor more organ systems that was not present previously. caused by acute increase in the intra abdominal pressure caused by accumulation of large amount of fluid i,e blood or edema seen in patients:-. -who have sustained massive abdominal trauma -had an operation for massive abdominal infection -undergone a complicated prolonged abdominal operation the normal intra abdominal pressure is about o cm of water and large amount of fluid accumulation is required before it begins to rise when IAP exceeds 15 cm of water serious physiological problems begin to appear. if IAP exceeds 25 - 30 cm of water life threatening hypoxia and anuric renal failure may occur. ref:: Sabiston 20th edi 307-308